Addition of PUFA in plasma membrane causes
1. Membrane becomes rigid
2. Increase in fluidity of membrane
3. Decrease in fluidity of membrane
4. No change in fluidity of membrane

Correct answer: 2. Increase in fluidity of membrane

Explanation: Ans. is 'b' i.e. increased fluidity of membranes : As explained previously in NOV 2000 paperThe fluidity of the plasma membrane is highly dependent upon the lipid composition of the membrane . * Saturated fatty acids : Increase the transition temperature and hence decrease the fluidity.Unsaturated fatty acids (PUFA) : Decrease the transition temperature and hence increase the fluidity of membrane.